Widest spectrum aminoglycoside is –
1. Streptomycin
2. Amikacin
3. Framycetin
4. Netilmicin

Correct answer: 2. Amikacin